Ovulation in women with 28-day cycle occurs at
1. 14 days prior to mensturation
2. Just before LH surge
3. Just after corpus leuteal maturation
4. Due to progesterone rise

Correct answer: 1. 14 days prior to mensturation

Explanation: Ovulation is the release of egg from the ovaries. In humans, this event occurs when the de Graaf's follicles rupture and release the secondary oocyte ovarian cells. After ovulation, during the luteal phase, the egg will be available to be fertilized by sperm. In addition, the uterine lining (endometrium) is thickened to be able to receive a fertilized egg. If no conception occurs, the uterine lining, as well as blood, will be shed during menstruation.In humans, ovulation occurs about midway through the menstrual cycle, after the follicular phase. The few days surrounding ovulation (from approximately days 12 to 16 of a 28-day cycle)Ref: Ganong's review of medical physiology; 24th edition; page no:-401